Lethal midline granuloma arises from ?
1. T-cells
2. B-cells
3. NK cells
4. Macrophages

Correct answer: 3. NK cells

Explanation: Ans. is 'c' i.e., NK cellso Lethal midline granuloma or polymorphic reticulosis is a lymphoma of natural killer (NK) cells infected with EBV.